A 50-year-old woman has a lumpectomy following mammographic discovery of a carcinoma of the breast. Which of the following is a well-known characteristic or association of breast cancer?
1. Low-fat diet
2. Positive family history
3. Excessive thinness
4. Multiparity

Correct answer: 2. Positive family history

Explanation: A history of breast cancer in first-degree female relatives and a diet high in animal fats are important associations of breast cancer. Associations related to excess estrogen stimulation include:- High-fat diet Obesity Early menarche Nulliparity. Additional associations are delayed first pregnancy and exogenous estrogen therapy.